Air forced, or sucked in to the connective tissue and facial spaces are known as?
1. Empyema
2. Asphyxia
3. Emphysema
4. Aspiration

Correct answer: 3. Emphysema